Commonest site of otosclerosis is -
1. Round window
2. Oval window
3. Utricle
4. Ossicles

Correct answer: 2. Oval window